Iceberg phenomena is not seen in
1. Measles
2. AIDS
3. Polio
4. Rubella

Correct answer: 1. Measles

Explanation: The only source of measles infection is case. Carriers are not know to occur. So, iceberg phonomena is not seen in measles. Ref : Park's Textbook of Preventive and Social Medicine; 23rd edition - Pgno 147